In high spinal anaesthesia what is seen
1. Hypotension & Bradycardia
2. Hypotension & Tachycardia
3. Hypertension & Bradycardia
4. Hypertension & Tachycardia

Correct answer: 1. Hypotension & Bradycardia

Explanation: A i.e. Hypotension & Bradycardia Spinal anesthesia ascending into cervical levels causing severe hypotensionQ, bradycardiaQ, respiratory insufficiencyQ & unconsciousnessQ is known as high or total spinal anesthesia. It can also occur following attempted epidural/caudal anethesia, if there is inadvertent intrathecal injection of large amount of anesthetic intended for epidural space.